Which of the following antidepressants is least likely to have sexual side-effects?
1. Amitriptyline
2. Mirtazapine
3. Fluoxetine
4. Venlafaxine

Correct answer: 2. Mirtazapine

Explanation: Mirtazapine and buproprion have relatively low risk of causing sexual side effects as compared to other antidepressants